In DNA, Cytosine is passed with
1. Thymine
2. Guanine
3. Ademine
4. Uracil

Correct answer: 2. Guanine

Explanation: In DNA , Cytosine pairs with Guanine and Thymine pairs with Adenine. Ref : DM.VASUDEVAN.TEXTBOOK ; SEVENTH EDITION ; PAGE NO : 560